The need for vitamin B12 and folic acid in the formation of red blood cells is related primarily of their effects on:
1. Synthesis and release of erythropoietin from the kidney
2. Absorption of iron from the gut
3. DNA synthesis in bone marrow
4. Hemoglobin formation in the red blood cell

Correct answer: 3. DNA synthesis in bone marrow

Explanation: Within 6-9 hours of treatment with vitamin B12 formation of nuclear DNA component promotes normoblastic reaction of the bone marrow. Folic acid also promotes the formation of nucleic acids.